Conversion of T4 to T3 is inhibited by all except
1. Propanolol
2. Propylthiouracil
3. Amiodarone
4. Methimazole

Correct answer: 4. Methimazole

Explanation: Refer KDT 6/e p250 Methimazole inhibits only thyroid peroxidase whereas propylthiouracil inhibits thyroid peroxidase as well as 5-deiodinase. Later is involveed in peripheral conversion of T4 to T3